Conversion of Fe+2 to F+3 reaction is called
1. Haber weiss reaction
2. Fenton's reaction
3. Ne rns t reaction
4. Donnan reaction

Correct answer: 2. Fenton's reaction

Explanation: For Options A & B refer image. Option D :When two solutions containing ions are seperated by a membrane that is permeable to some of the ions and not to others an electrochemical equillibrium is established.